Widening of epiphysis is seen in:
1. Scurvy
2. Rickets
3. Achondroplasia
4. Osteopetrosis

Correct answer: 2. Rickets

Explanation: Rickets- Wrist widening (splaying), fraying & cupping Scurvy- pencil thin outline of cortex, Wimberger sign, subperiosteal hemorrhage Achondroplasia- trident hand, short stature, champagne glass pelvis on X ray Osteopetrosis- bone appears white/ Marble bone disease Radiological feature of rickets: